Aspergilloma has
1. Septate hyphae
2. Pseudohyphae
3. Metachromatic hyphae
4. No hyphae

Correct answer: 1. Septate hyphae

Explanation: Aspergillus has non pigmented septate hyphae with characteristic dichotomous branching at an angle of approximately 45degrees. Ref: Textbook of Microbiology, Ananthanarayan and Paniker; 9th edition